Which of the following best describes the effect of calcium ions on the myocardium?
1. positively inotropic
2. negatively inotropic
3. positively chronotropic
4. negatively chronotropic

Correct answer: 1. positively inotropic

Explanation: Positively inotropic is the best description of the effect of calcium ions on the myocardium.Calcium plays a role in excitation-contraction coupling, and in possible drug effects and heart failure.